Which of the following describes the first pass metabolism
1. Drug given IV accumulates quickly in the central nervous system (CNS).
2. Inactivation of a drug as a result of the gastric acids.
3. Absorption of a drug through the duodenum.
4. Drug given orally is metabolized by the liver before entering the circulation.

Correct answer: 4. Drug given orally is metabolized by the liver before entering the circulation.

Explanation: The first-pass effect refers to the process in which following oral administration a drug is extensively metabolized as it initially passes through the liver, before it enters the general circulation. Liver enzymes may metabolize the agent to such an extent that the drug cannot be administered orally. Ref:- KD Tripathi